Ascending loop of Henle has which transporter
1. Na+ Cl contraspoer
2. Na+ - 2Cl - K+ cotransporter
3. ENaC channel
4. Na+ aminoacid contraspoer

Correct answer: 2. Na+ - 2Cl - K+ cotransporter

Explanation: Ascending loop of Henle has Na+ - 2Cl - K+ cotransporter. Ref: Ganong's review of medical physiology; 24th edition; page no; 685 ref of image :